A patient presents to the hospital for percistant fever and significant weight loss for the post two months. On examination he is observed to have cervical and axillary lymphadenopathy. Other examination and investigations are unremarkable. Biopsy from the cervical nodes is performed and returns positive for Hodgkin's Lymphoma. The patient can be staged as haring:
1. Stage II A
2. Stage II B
3. Stage III A
4. Stage IV B

Correct answer: 2. Stage II B

Explanation: Answer is B (stage IIB) The patient is presenting with involvement of two lymph node regions on the same side of diaphragm (stagell) along with presence of systemic symptoms (Group B). This patient can thus be staged as having stage II B disease.